Functional analysis of kidney is best done by –
1. Radionuclide scanning
2. IVP
3. Ultrasound
4. MRI

Correct answer: 1. Radionuclide scanning

Explanation: Functional imaging or dynamic renal scintigraphy is done by Tc - 99m - DTPA or Tc - 99m - MAG3